Which among the following causes 'Euvolvemic hyponatremia*?
1. Nephrotic syndrome
2. SIADH
3. Diarrhea
4. Vomiting

Correct answer: 2. SIADH

Explanation: Ref: Nelson's Textbook of Pediatrics 18th edition: page no.275 & Harrison's 18th editionExplanation:Refer previous question's explanation.